Sialolithiasis is most commonly seen in
1. Submandibular
2. Parotid
3. Sublingual
4. Minor salivary gland

Correct answer: 1. Submandibular